Major part of the skin of pinna is supplied by:
1. Aurculo temporal nerve
2. Auricular branch of the vagus
3. Posterior auricular nerve
4. Great auricular nerve

Correct answer: 4. Great auricular nerve

Explanation: D i.e. Great auricular